Foamy liver is seen in:
1. Putrefaction
2. Adipocere
3. Mummification
4. Dry drowning.

Correct answer: 1. Putrefaction

Explanation: Ans. (A). PutrefactionHoney comb appearance or foamy liver is seen in putrefaction due to the presence of gas bubbles within the parenchyma.